Ectopic pregnancy is most commonly associated with:
1. Endometriosis
2. Congenital tubal anomalies
3. Tuberculosis
4. Tubal inflammatory diseases

Correct answer: 4. Tubal inflammatory diseases

Explanation: Read the question carefully, it says ectopic pregnancy is most commonly associated with:
“Pelvic inflammatory disease (PID) increases the risk of ectopic pregnancy by 6-10 fold.”
Dutta Obs. 7/e, p 178
“The most common cause (of ectopic pregnancy) is previous salpingitis due to sexually transmitted disease such as gonococcal and chlamydial infection or salpingitis that follows septic abortion and puerperal sepsis.”
Shaw 14/e, p 239

After one episode of PID – 13%
After two episode of PID – 35%
After three episode of PID – 75%

Note: M/C cause of ectopic pregnancy is PID but Maximum risk of ectopic pregnany is after tubal damage, either due to previous ectopic pregnancy or tubal surgery amongst which previous ectopic is more common.
“Prior tubal damage either; from a previous ectopic pregnancy or from tubal surgery to relieve infertility or for sterilization confers the highest risk for ectopic pregnancy.”
Williams Obs 23/e, p 238